Herbert pits are seen in:
1. Trachoma
2. Psoriasis
3. Spring catarrh
4. Fungal keratitis

Correct answer: 1. Trachoma

Explanation: Trachoma